Pyridoxine is involved in
1. Carboxylation
2. Trans-sulfuration
3. Oxidation-reduction
4. Transketolation

Correct answer: 2. Trans-sulfuration

Explanation: Pyridoxine is involved in trans-sulfuration.Sulfur-Containing Amino Acids PLP plays an important role in methionine and cysteine metabolism. a.Homocysteine + Serine - Cystathionine. (Enzyme Cystathionine synthase) b.Cystathionine - Homoserine + Cysteine (Enzyme Cystathionase) Both these reactions require PLP. Here transfer of sulphur group occurs.Ref: DM Vasudevan - Textbook of Biochemistry, 6th edition, page no: 396